True about level III nodes in Axilla is:
1. Behind pectoralis minor
2. Superiomedial and above the pectoralis minor
3. Lateral and Below Pectoralis minor
4. Anterior to pectoralis minor

Correct answer: 2. Superiomedial and above the pectoralis minor

Explanation: ANSWER: (B) Superiomedial and above the pectoralis minorREF: http://'www.ganfyd.org/index.php?title=Axillary_lymph_nodesAnatomical Classification of Axillary Lymph Nodes:The anatomical classification is based on groups of lymph nodes and may be functionally significant. The different nodes can be easily remembered by the acronym 'APICAL' - anterior, posterior, infraclavicular, central, apical and lateral Surgical Classification of Axillary Lymph Nodes:The surgical classification is used in axillary dissection for breast cancer. It is entirely based on the relationship of the lymph nodes to pectoralis minor. The levels usually refer to a dissection, so a level 3 dissection' will have removed nodes from levels 1, 2 and 3. (Beck's Levels)Level 1 nodes: Level 1 includes all those nodes inferior to the inferolateral border of pectoralis minor. It is usually comprised of the lateral, anterior and posterior nodes.Level 2 nodes: Level 2 consists of those nodes posterior to pectoralis minor. It includes the central nodes and some of the apical nodes.Level 3 nodes: Level 3 consists of those nodes beyond the superior border of pectoralis minor. It includes the remaining apical nodes and infraclavicular nodes